Enteric fever is caused by:
1. Salmonella typhi
2. Salmonella paratyphi A
3. Salmonella paratyphi B
4. All of the above

Correct answer: 4. All of the above

Explanation: Ans. D: All of the above Typhoid fever is caused by Salmonella typhi. Paratyphoid fever is caused by Salmonella paratyphi A, B and C. The term enteric fever encompasses both typhoid and paratyphoid fevers.